Absence of fungiform and circumvallate papillae seen in:
1. Familial dysautonomia.
2. Iron deficiency anemia.
3. Scarlet fever.
4. Riboflavin deficiency.

Correct answer: 1. Familial dysautonomia.